Gout is a disorder of:
1. Purine Metabolism
2. Pyrimidine Metabolism
3. Ketone Metabolism
4. Protein metabolism

Correct answer: 1. Purine Metabolism